Which of the following causes a dead end infection?
1. C. tetani
2. V. cholerae
3. S. aureus
4. Hemophilus

Correct answer: 1. C. tetani

Explanation: Ans. A. C. tetani.Since, there is no further human to human transmission, tetanus is a dead end infection.Dead end infections in humans-Tetanus, Legionnaire's disease, Leptospirosis, Lyme's diseaseRabies, JE, West Nile fever, Equine encephalitis, KFDCysticercosis, Hydatid disease, Trichinellosis, Babesiosis